Patients receiving fluid replacement therapy should be frequently monitored for:
1. Adequate urinary output
2. Changes in mental status
3. Vital sign stability
4. All of the above

Correct answer: 4. All of the above

Explanation: The nurse must monitor for adequate urinary output, changes in mental status, and vital sign stability because these factors are directly influenced by fluid replacement therapy.

Option A: Urinary output should be monitored because an effective fluid replacement therapy is manifested by adequate urine output.
Option B: Fluid replacement therapy affects the mental status of the patient directly.
Option C: Vital sign stability could be achieved through an effective fluid replacement therapy